Increased serum amylase in pleural effusion is seen in
1. Rheumatoid arthritis
2. Tuberculosis
3. Malignancy
4. Pulmonary embolism

Correct answer: 3. Malignancy

Explanation: (Malignancy) (269- CMDT-08) (1658-H17th)Serum amylase level in PE - suggest pancreatits, pancreatic pseudocyst, adenocarcinoma of the lung or pancreas or esophageal rupture, - MalignancyGlucose < 60 mg/ dL - occurs in Malignancy, Bacterial infections, Rheumatoid pleuriticIncreased amvlase acids are found in perforated duodenal ulcers acute cholecystitis. High intestinal obstruction, acute mesenteric vascular occlusion, DKA leaking aortic aneurysm, mumps, ectopic pregnancy after administration of narcotics, after abdominal surgery* Bacterial pneumonia and cancer are the most common cause of exudative effusion* High concentration of cholesterol in most rheumatoid effusions